Disease rate is -
1. Risk of susceptibility
2. Usually expressed a percentage
3. Time period in a calendar year
4. Disease occurrence in a specified time period

Correct answer: 4. Disease occurrence in a specified time period

Explanation: Disease rate is a measure of incidence or occurrence of disease in a population.
In other words, it is synonymous for incidence rate.